Drug of choice for familial hypercholesterolemia ?
1. Gemfibrogil
2. Nicotinic acid
3. Lovastatin
4. Ceholestgramin

Correct answer: 3. Lovastatin

Explanation: Ans. is 'c' i.e., Lovastatin